True about Bloom Syndrome -
1. Decreased IgG
2. Decreased IgM
3. IgA absent
4. Increased IgE

Correct answer: 2. Decreased IgM